Lingular lobe bronchiectasis is due to
1. Mycobacterium Avium intracellulare infection
2. Cystic Fibrosis
3. Tuberculosis
4. Aspergillosis

Correct answer: 1. Mycobacterium Avium intracellulare infection

Explanation: MAC infection causes middle lobe and Lingulor lobe bronchiectasis :

Tuberculosis - Unilateral upper lobe bronchiectasis.
Cystic Fibrosis - Bilateral upper lobe bronchiectasis.
Aspergillosis - Central bronchiectasis.